Aseptate hyphae is not seen in -
1. Rhizopus
2. Mucor
3. Aspergillus
4. None

Correct answer: 3. Aspergillus

Explanation: Non-septate (aseptate) hyphae → Rhizopus, mucor.
Septate hyphae → Aspergillus.